Invasive molar tissue is most commonly found in
1. Myometrium
2. Vaginal wall
3. Ovary
4. Liver

Correct answer: 1. Myometrium

Explanation: Invasive molar tissue (locally invasive) invades the myometrium, while metastatic molar tissue (highly metastatic)is a different type which metastasizes to the lung, liver.